Acinic cell tumor is tumor of
1. Parotid gland
2. Breast
3. Parathyroid
4. Thyroid

Correct answer: 1. Parotid gland

Explanation: Ans. a (Parotid tumor). (Ref. LB, 25th/pg. 756)Salivary gland tumor TypeSubgroup1AdenomaPleomorphic (80-90%), Warthin's tumor, Adenolymphoma2CarcinomaAcinic cell carcinoma (LG-low grade), Adenoid cystic carcinoma (LG),Mucoepidermoid (LG and HG), Adenocarcinoma (HG), Squamous cell carcinoma (HG)3Non epithelial tumorsHemangioma, Lymphangioma4LymphomaPrimary, Secondary5SecondariesLocal, Distant (skin and bronchus)6Tumor like lesionsAdenomatoid hyperplasia, Benign lymphoepithelial lesion, Salivary gland cysts